In the immediate post operative period, the common cause of respiratory insufficiency could be because of the following except
1. Residual effect of muscle relaxant
2. Overdose of narcotic analgesic
3. Mild hypovolemia
4. Myocardial infarction

Correct answer: 3. Mild hypovolemia

Explanation: Causes of Acute Post-operative shortness of breath MI and heart failure Chest infections Pulmonary embolism Exacerbation of asthma or COPD In mild hypovolemia, the systemic blood circulation is maintained by shifting the blood from splanchnic circulation to the systemic circulation Healthy volunteers could have 10-15% of their blood volume removed with no significant change in heart rate, BP, cardiac output or blood flow to the splanchnic bed Ref: Bailey and love 27th edition Pgno : 292